Breast milk is known to transmit –
1. Tuberculosis
2. CMV
3. Varicella
4. Rubella

Correct answer: 2. CMV

Explanation: Breast milk transmits (with definitive evidence) —> 1) HIV        2)CMV
Breast milk can rarely transmit --> 1) HTLV - type 1            2) Rubella virus                  3)HBV             4) HSV